Bull's eye retinopathy is seen in:
1. Chloroquine
2. Methanol
3. Ethambutol
4. Steroids

Correct answer: 1. Chloroquine

Explanation: 1. Autosomal-dominant, benign, concentric annular macular dystrophy 2. Ceroid lipofuscinosis *3. Chloroquine or hydroxychloroquine retinopathy 4. Cone dystrophy 5. Hereditary ataxia 6. NARP syndrome 7. Spielmeyer-Vogt syndrome (Batten-Mayou syndrome) *8. Stargardt disease (or fundus flavimaculatus) 9. Trauma 10. Unknown CYBERSIGHT CONSULT